Chicken pox is a common disease of childhood. It is caused by which of the following viruses?
1. Cytomegalovirus
2. Rotavirus
3. Varicella-zoster virus
4. Adenovirus

Correct answer: 3. Varicella-zoster virus

Explanation: Varicella-zoster virus is a herpesvirus. Chickenpox is a highly contagious disease of childhood that occurs in the late winter and early spring. It is characterized by a generalized vesicular eruption with relatively insignificant systemic manifestations.